Mousy odour urine is seen in
1. Maple syrup urine
2. Phenylketonuria
3. Isovalericacidria
4. Cystinuria

Correct answer: 2. Phenylketonuria

Explanation: Mousy order urine is seen in phenylketonuria due to the presence of excessive phenylalanine and its metabolites.Mousy body odour is also present due to the excretion of phenyl lactic acid,its metabolite through sweat. Reference:Essential pediatrics-Ghai,8th edition,page no:652.